All of the following are metabolic effects of progesterone in normal pregnancy, EXCEPT:
1. It increases basal insulin levels
2. Norgestrel increase glucose tolerance
3. Stimulates lipoprotein lipase activity
4. Does not alter glucose tolerance

Correct answer: 2. Norgestrel increase glucose tolerance

Explanation: Progesterone increases basal insulin levels and the rise in insulin after carbohydrate ingestion, but it does not normally alter glucose tolerance. However, long-term administration of more potent progestins, such as norgestrel, may decrease glucose tolerance. Progesterone stimulates lipoprotein lipase activity and seems to enhance fat deposition. Ref: Levin E.R., Hammes S.R. (2011). Chapter 40. Estrogens and Progestins. In L.L. Brunton, B.A. Chabner, B.C. Knollmann (Eds), Goodman & Gilman's The Pharmacological Basis of Therapeutics, 12e.